Drug of choice for primary open angle glaucoma:
1. Beta blockers
2. Prostaglandin analogues
3. Alpha agonists
4. Cholinergics

Correct answer: 2. Prostaglandin analogues

Explanation: Prostaglandin analogues are now the drug of choice for open angle glaucoma and normal tension glaucoma.